Drug, NOT metabolised by liver is :
1. Penicillin G
2. Phenytoin
3. Erythromycin
4. Cimetidine

Correct answer: 1. Penicillin G

Explanation: Ans. is 'a' Penicillin G Penicillin G is metalized mainly in kidneyApproximately 10% of the drug is eliminated by glomerular filtration and 90% by tubular secretionRest of the drugs given in the question erythromycin, cimetidine and phenytoin are metabolized in the liver.